Facial nerve gives out secretomotor fibres to all of the following except:
1. Lacrimal gland
2. Parotid gland
3. Submandibular gland
4. Nasal glands

Correct answer: 2. Parotid gland

Explanation: Ans. b. Parotid gland